Second branchial arch give rise to all of the following muscles, EXCEPT:
1. Stapedius
2. Stylohyoid
3. Stylopharyngeus
4. Posterior belly of digastric

Correct answer: 3. Stylopharyngeus

Explanation: Second branchial arch give rise to muscles of facial expression, stylohyoid, posterior belly of digastric and stapedius. Third branchial arch give rise to stylopharyngeus muscle. Muscles derived from first branchial are:MasseterTemporalisMylohyoidAnterior belly of digastricTensor tympaniTensor veli palatiniLateral and medial pterygoidMuscles derived from 4th branchial arch:Inferior constrictor of pharynxCricothyroidMuscles derived from 6th branchial arch:All the intrinsic muscles of the larynx except cricothyroidAll the muscles of the pharynx except stylopharyngeusAll the muscles of palate except tensor palatiRef: Head and Neck Anatomy for Dental Medicine By Eric Baker,page 61